A 45 year old male patient complains of blurred vision. Patient has a habit of smoking and is chronic alcoholic. Investigations reveal that plasma homocysteine level is 80µmol/L. Which type of thrombosis can occur in this patient
1. Arterial
2. Venous
3. Both 1 and 2
4. None of the above

Correct answer: 3. Both 1 and 2

Explanation: Hyperhomocystinemia is the only mixed disorder, which can cause both venous and arterial thrombosis.